Sweating as a result of excretion is mediated through
1. Adrenal harmone
2. Sympathetic adrenergic
3. Parasympathetic cholinergic
4. Sympathetic cholinergic

Correct answer: 4. Sympathetic cholinergic

Explanation: Refer kDT 7/e p 93 Most arteries and veins in the body are innervated by sympathetic adrenergic nerves, which release norepinephrine (NE) as a neurotransmitter. Some blood vessels are innervated by parasympathetic cholinergic orsympathetic cholinergic nerves, both of which release acetylcholine (ACh) as their primary neurotransmitter.